Infective endocarditis is commonly seen in all except-
1. Small VSD
2. Tetralogy of fallot
3. PDA
4. ASD

Correct answer: 4. ASD